which of the following anti depresent is a RIMA
1. meclobemide
2. phenelezine
3. sertraline
4. fluoxetine

Correct answer: 1. meclobemide

Explanation: RIMA MECLOBEMIDE BROFAROMINE MECHANISM This is a reversible inhibitor of monoamine oxidase, when there is an intake of tyramine rich foods, inhibition on the enzyme is reversed and thus cheese reaction is avoided IMPORTANCE NO DIET RESTRICTION Ref. kaplon and sadock, synopsis of psychiatry, 11 th edition, pg no 955